Gp2b3A inhibitors are all except -
1. Abciximab
2. Eptifibatide
3. Tirofiban
4. Prasugrel

Correct answer: 4. Prasugrel

Explanation: Ans. is 'd' i.e., Prasugrel Glycoproteins lIb / IIIa inhibitorso The platelet glycoprotein mediates platelet aggregation via binding of adhesive proteins such as fibrinogen and Von Willebrand factor.o GP lib / Ilia inhibitors, inhibit platelet aggregation by blocking GPIIb / IlIa.o They are more complete inhibitors than either aspirin or clopidogrel / ticlopidinejj because they inhibit final pathway in platelet aggregation (whether it is mediated by ADP or TXA2), while aspirin blocks only TXA2 pathway and clopidogrel blocks only ADP pathway,o Drugs are -o In addition to inhibiting Gp lib / Ilia receptor, abciximab also inhibits ay(33 receptor (which binds vitronectin) and amb2 (a leukocyte integerin). This action is responsible for anti-inflammatory and antiproliferative properties of abciximab.